A 68-year-old man presents with crampy abdominal pain and distention with vomiting. Findings on physical examination are positive for healed abdominal scars. X-rays reveal multiple gas fluid levels. The WBC count is 12,000. What is the most likely diagnosis?
1. Small-bowel intestinal obstruction due to adhesions
2. Hernia
3. Appendicitis
4. Inflammatory bowel disease

Correct answer: 1. Small-bowel intestinal obstruction due to adhesions

Explanation: The presence of distended loops of bowel indicate bowel obstruction. The clinical features favor mechanical obstruction rather than paralytic ileus due to infection. Obstruction due to adhesions is more common than obstruction due to hernia.